For examination of fungus from a sample, uniformly stain by
1. Alzarin
2. PAS
3. Mason trichome
4. Giemsa

Correct answer: 2. PAS

Explanation: PAS-periodic acid schiff stain is used for carbohydrate particularly glycogen, ,amobea, fungi Periodic acid-Schiff (PAS) is a stainingmethod used to detect polysaccharidessuch as glycogen, and mucosubstances such as glycoproteins, glycolipids and mucins in tissues. The reaction of periodic acid oxidizes the vicinal diols in these sugars, usually breaking up the bond between two adjacent carbons not involved in the glycosidic linkage or ring closure in the ring of the monosaccharide units that are parts of the long polysaccharides, and creating a pair of aldehydes at the two free tips of each broken monosaccharide ring. The oxidation condition has to be sufficiently regulated so as to not oxidize the aldehydes further. These aldehydes then react with the Schiff reagent to give a purple-magenta color. A suitable basic stain is often used as a counterstain. Refer Robbins page no 8th edition 336